Most common cause of Breech presentation
1. Prematurity
2. Twins
3. Android pelvis
4. Previous LSCS

Correct answer: 1. Prematurity

Explanation: Ans. (a) Prematurity'